For hospital cases and controls, there is different rates of admission to hospitals for people with different diseases, it will lead to what bias?
1. Hawthorne effect
2. Berkesonian bias
3. Ecological fallacy
4. Interviewer bias

Correct answer: 2. Berkesonian bias

Explanation: Bias Feature Berkesonian bias Different rates of admission to hospitals for people with different diseases Interviewer bias When the interviewer knows the hypothesis and also knows who the cases are Ecological fallacy Assigning people into groups irrespective of the characteristics they may or may not possess Hawthorne effect When subjects of an experimental study change or improve the behavior being evaluated only